All of the following statements about Vibrio cholera are true, except
1. It is transported in Alkaline pH
2. It is an aerobic bacteria
3. They are flagellated
4. Oxidase Test Negative

Correct answer: 4. Oxidase Test Negative

Explanation: Vibrio cholera is transported to the laboratory in alkaline peptone water (pH 9.0). They are curved, gram negative, aerobic, flagellated rods. It ferments sucrose, mannose and is oxidase test positive. It grows well on TCBS agar.